Torres bodies are seen in:
1. Kala azar
2. Yellow fever
3. HSV
4. EBV

Correct answer: 2. Yellow fever

Explanation: Yellow fever